Regarding Dandy-Walker syndrome, all are seen except-
1. Hydrocephalus
2. Arachnoid cyst
3. Posterior fossa cyst
4. Cerebellar vermis deficiency

Correct answer: 2. Arachnoid cyst

Explanation: Dandy-walker malformation

The Dandy-Walker malformation consists of a cystic expansion of the 4th ventricle in the posterior fossa and midline cerebellar hypoplasia.
There is : -
Hydrocephalus (90% of cases)
Agenesis of the cerebellar vermis and corpus callosum.
The rapid increase in head size with prominent occiput.